The primary form of cortisol in the plasma is that which is:
1. Bound to albumin
2. Bound to transthyretin
3. Free in solution
4. Bound to corticosteroid-binding globulin (CBG)

Correct answer: 4. Bound to corticosteroid-binding globulin (CBG)

Explanation: Ans. D. Bound to corticosteroid-binding globulin (CBG)Cortisol, like other steroid hormones, is carried in the blood largely bound to carrier proteins, although a small percentage exists free in solution. The majority of cortisol is bound to a specific carrier protein, corticosteroid-binding globulin (CBG), while smaller amounts are bound nonspecifically to albumin. Few, if any, cortisol receptors would be expected in the plasma and transthyretin binds primarily thyroxine.